Which of the following structures is inferior to spheno petrosal Synchondrosis -
1. Abducens nerve
2. Osseous part of auditory tube
3. Cartilaginous part of auditory tube
4. Petro squamous sinus

Correct answer: 3. Cartilaginous part of auditory tube

Explanation: o Lateral part of inferior surface of petrous part of temporal articulates with greater wing of sphenoid (spheno-petrosal synchondrosis) to form sulcus tubae for the ludgement of cartilaginous part of auditory tube.